Stain used for melanin is
1. Alizarin red S
2. Von Kossa
3. Masson Fontana stain
4. PAS stain

Correct answer: 3. Masson Fontana stain